X-rays were discovered by
1. Madam curie
2. Roentgen
3. Rutherford
4. Becquerel

Correct answer: 2. Roentgen